Recall bias is most commonly associated with which study-
1. Case-centrol
2. Cohort
3. Cross-sectional
4. RCT

Correct answer: 1. Case-centrol

Explanation: Ans. is 'a' i.e., Case-control* In case control study both exposure and outcome have already occured before the start of the study.* Then study proceeds by collecting the information from cases and control (which is based on their memory). In these studies there is chance of recall bias.* Recall bias is a type of information bias.* It results from differential ability of subjects to remember previous activity and exposure:# What happens that the patients who have serious disease may search their memory for recalling an exposure, in an attempt to explain or to understand why they acquired the illness.# While control subjects who do not have the disease, may be less likely to remember an exposure because it has less significance for them.* Thus in a retrosecptive study persons having the disease tend to remember more of the details than the controls as they do not give much importance to the exposure and do not remember the minor details.* This results in recall bias.* This bias is eliminated in prospective study because the subjects do not have to recall anything.